Which of the following diseases shows Pleiotropism
1. Marfan syndrome
2. Sickle cell disease
3. Phenylketonuria
4. All of the above

Correct answer: 4. All of the above

Explanation: Pleiotropism - A single gene mutation may have phenotypic effects.